Which of these is characteic of gout
1. Podagra
2. Anasarca
3. Cheiroahropathy
4. Calcinosis cutis

Correct answer: 1. Podagra

Explanation: Podagra is involvement of the great toe in a patient with refer Robbins page no 1216 9/e